An old patient Ram Kishore having asthma and glaucoma is to receive a β blocker. Regarding β blocking drugs:
1. Metoprolol blocks β2 receptors selectively
2. Esmolol's pharmacokinetics are compatible with chronic topical use
3. Nadolol lacks β2 blocking action
4. Timolol lacks the local anaesthetic effects of propranolol

Correct answer: 4. Timolol lacks the local anaesthetic effects of propranolol